CT scan of a mentally retarded child with recurrent seizures and hemangioma. Diagnosis is?0
1. Epiloias
2. Encephalofacial angiomatosis
3. Louis Bar syndrome
4. Neuronal ceroid lipofuscinoses

Correct answer: 2. Encephalofacial angiomatosis

Explanation: Ans. (b) Encephalofacial angiomatosis.* The CT scan shows extensive intracranial calcification which will lead to seizures, paralysis and hemiatrophy. The presence of hemangioma shows presence of Sturge-Weber syndrome called as encephalofacial angiomatosis.* Epilolia is alternative term for tuberous sclerosis.* Louis bar syndrome is alternative term for phakomatosis by name of ataxia telangiectasia.* Neuronal ceroid lipofuscinosis includes leukodystrophy like Krabbe's disease and adrenoleukodystrophy. Image source; style="font-size: 1.04761904761905em; color: rgba(0, 0, 0, 1); font-family: Times New Roman, Times, serif; margin: 0 0 8pt">